Which is the Laser used in laryngeal work?
1. Argon
2. CO2
3. Holmium
4. Nd Yag

Correct answer: 2. CO2

Explanation: Co2laser is used in laryngeal surgery to excise vocal nodules, polyps, cysts, granulomas or juvenile laryngeal papilloma. Also used in case of leukoplakia, T1 lesion of vocal cord or localized leisions of supraepiglottis and infraglottis. CO2 laser has wavelength 10,400nm It is the work horse laser and has been used widely in ENT It can cut precisely (0.3mm percision), coagulate bleeders and vaporise tissues Besides laryngeal surgery, it is used in oropharyngeal surgery to excise benign or malignant lesions and in plastic surgery